A traveling nerve impulse does not depolarize the area immediately behind it, because:
1. It is hyperpolarised
2. It is refractory
3. It is not self-propagating
4. The conduction is always orthodromic

Correct answer: 2. It is refractory

Explanation: When an AP is initiated at a point, the point goes into refractoriness when the Na+ entered through that point has excited the adjacent (2nd) point. so it will travel in single direction Hyperpolarization event is after the refractory period.